Allopurinol is used in the treatment of ?
1. Gout
2. Hypothyroidism
3. Hypertension
4. Hyperlipidemia

Correct answer: 1. Gout

Explanation: Ans. is 'a' i.e., Gout Allopurinol is the DOC for chronic gout.